Mark the FALSE statement regarding Head injury and Brain hemorrhage
1. Extradural hemorrhage occurs due to the rupture of a middle meningeal artery.
2. Subdural hemorrhage -Lucid interval is exclusive
3. Posterior communicating artery aneurysm can lead to dilated pupil
4. Hunt and Hess Scale is used for subarachanoid hemorrhage severity

Correct answer: 2. Subdural hemorrhage -Lucid interval is exclusive

Explanation: Epidural hematomas usually result from rupture of the middle meningeal artery underlying a fracture, leading to bleeding between the dura and the inner table of the skull . The temporal course has traditionally been described as a brief loss of consciousness followed by a lucid interval, then progressive neurologic deterioration; however, this sequence is not common. Subdural hematomas are most common in the elderly as a result of the expanded spaces produced by brain atrophy, the prevalence of anticoagulation and antiplatelet agents, and falls. Bleeding usually results from the rupture of veins that bridge the dura and the cortex. Hunt and Hess Scale is used for subarachanoid hemorrhage severity. Acute CN III palsy with ipsilateral pupil dilation is PCOM aneurysm until proven otherwise.Aneurysm compresses the outer fibers (pupillomotor) of CN III - dilationIn contrast to CN III palsy due to diabetes mellitus or hypertension in which pupil is spared